A 46-year-old man has had increasing dyspnea with nonproductive cough for the past year. On physical examination he is afebrile and has clubbing of digits. Pulmonary function testing reveals a mild restrictive abnormality along with reduced DLCO. A transbronchial biopsy is performed and microscopic examination shows numerous alveolar macrophages, plump epithelial cells, mild interstitial fibrosis, and loss of respiratory bronchioles. Lamellar bodies and iron pigment are present within these macrophages. Which of the following is the most likely etiology for his pulmonary disease?
1. Type I hypersensitivity
2. Cigarette smoking
3. Ciliary dyskinesia
4. Inhalation of mold spores

Correct answer: 2. Cigarette smoking

Explanation: He has desquamative interstitial pneumonitis (DIP), one form of smoking-related interstitial lung disease. Most cases abate with cessation of smoking and corticosteroid therapy. Atopy is classically related to asthma, an acute obstructive pulmonary process. One form of primary ciliary dyskinesia is Kartagener syndrome, which leads to bronchiectasis from ongoing inflammation with infection. Inhalation of mold spores produces farmer's lung - hypersensitivity pneumonitis. Inhalation of silicates leads to pulmonary fibrosis over years, but without large numbers of macrophages.